B/L ronchi are seen in -a) Pulmonary edemab) Pulmonary emobolismc) Bronchiectasisd) Pulmonary AV fistula
1. a
2. ac
3. ad
4. b

Correct answer: 2. ac